Prolonged latent phase in nullipara is defined as one exceeding
1. 10 hours
2. 14 hours
3. 18 hours
4. 20 hours

Correct answer: 4. 20 hours

Explanation: A prolonged latent phase was defined as one exceeding 20 hours in the nullipara and 14 hours in the multiparous women.(Ref: William's Obstetrics; 25th edition)